The conversion of short term memory to long term memory is done in
1. Hippocampus
2. Cerebrum
3. Cerebellum
4. Medulla

Correct answer: 1. Hippocampus

Explanation: The conversion of short term memory to long term memory is done in hippocampus.